Which of the following product is primarily filtered with little secretion or re-absorption in renal tubules?
1. Sodium
2. Creatinine
3. Glucose
4. Amino acids

Correct answer: 2. Creatinine

Explanation: Creatinine can also be used to measure GFR as it is minimally secreted or reabsorbed in the renal tubules.